Which of the following is most likely side effect of fresh autogenous iliac crest transplant in managing an infra bony pocket?
1. Infection
2. Arthus reaction
3. Root resorption
4. Auto erythrocyte sensitivity

Correct answer: 3. Root resorption